Which one of the following modes of intervention covers the process of advising a patient to change his lifestyle in order to prevent any risk factor for a disease ?
1. Health promotion
2. Specific protection
3. Disability limitation
4. Rehabilitation

Correct answer: 1. Health promotion

Explanation: Ans. is 'a' i.e., Health promotion